In which part of the brain is the cerebral aqueduct is found?
1. Diencephalon
2. Mesencephalon
3. Metencephalon
4. Myelencephalon

Correct answer: 2. Mesencephalon

Explanation: Cerebral aqueduct of sylvius is found in the Midbrain (mesencephalon); it connects the third ventricle to the fourth ventricle. Midbrain is derived from mesencephalon.